Boys over 16 years who are too difficult to be handled in a certified school or have misbehaved there are sent to a : -
1. Remand home
2. Borstal
3. Foster home
4. Any of the above

Correct answer: 2. Borstal

Explanation: Borstals: Boys over 16 years who are too difficult to be handled in a certified school or have misbehaved there, are sent to a Borstal. Borstal, as an institution, falls between a certified school and an adult prison.
 A borstal sentence is usually for 3 years, and is regarded as a method of training and reformation.